Hutchinson's rule in relation to herpes zoster ophthalmicus:
1. Implies that ocular involvement is infrequent if the side or tip of the nose presents vesicles
2. Is based on involvement of nasociliary nerve
3. Is 100 percent predictor of ocular involvement
4. All of the above

Correct answer: 2. Is based on involvement of nasociliary nerve

Explanation: Ans. Is based on involvement of nasociliary nerve